The genetically engineered 'golden rice' is rich in -
1. b-carotene and magnesium
2. Folic acid and iron
3. b-carotene and iron
4. Folic acid and magnesium

Correct answer: 3. b-carotene and iron

Explanation: Golden rice: Variety of rice produced through genetic engineering to boisynthesize beta carotene, a precursor of vitamin A. It is indented to produce a fortified food to be grown and consumed in areas with a shortage of dietary vitamin A. Golden rice differs from its parenteral strain by the addition of three beta carotene biosynthesis gene. It is rich in beta carotene and iron.